An early systolic murmur may be caused by all the following except
1. Small ventricular septal defect
2. Papillary muscle dysfunction
3. Tricuspid regurgitation
4. Aortic stenosis

Correct answer: 4. Aortic stenosis

Explanation: Ref Harrison 19 th ed pg 1447 Acute severe MR results in a decrescendo early systolic murmur, the characteristics of which are related to the progressive attenuation of the left ventricular to left atrial pressure gradient dur- ing systole because of the steep and rapid rise in left atrial pressure in this context. Severe MR associated with posterior leaflet prolapse or flail radiates anteriorly and to the base, where it can be confused with the murmur of AS. MR that is due to anterior leaflet involvement radiates posteriorly and to the axilla. With acute TR in patients with normal pulmonary artery pressures, an early systolic murmur that may increase in intensity with inspiration may be heard at the left lower sternal border, with regurgitant cv waves visible in the jugular venous pulse.